The process of primary colonizing bacteria adhering to tooth surface providing new receptors for attachment other bacteria is known as
1. Attachment
2. Translocation
3. Co-adhesion
4. Biofilm

Correct answer: 3. Co-adhesion